Framingham heart study is -
1. Case-control study
2. Cohort study
3. Cross-sectional study
4. None

Correct answer: 2. Cohort study

Explanation: Park's textbook of preventive and social medicine 23rd edition. Framingham study- cohort study- the study is identified prior to the appearance of the disease . It proceeds forward from cause to effect. Framingham study- has played a major role in establishing the nature of CHD risk factors and their relative importance .